Haemodialysis can be done in A/E :
1. Aspirin
2. Methanol
3. Barbiturates
4. Benzodiazepines

Correct answer: 4. Benzodiazepines

Explanation: D i.e. Benzodiazepines